Constellation of neuropathy, muscle weakness and wasting, cardiomegaly, edema, ophthalmoplegia, confabulation strongly suggest:
1. Hysteria
2. Thiamine deficiency
3. Lead poisoning
4. Intracerebral hemorrhage

Correct answer: 2. Thiamine deficiency

Explanation: Ans. Thiamine deficiency